Which is the drug to treat NARST (Nalidixic acid resistant S.typhi)?
1. Chloramphenicol
2. Azithromycin
3. Ciprofloxacin
4. Septran

Correct answer: 2. Azithromycin

Explanation: Nalidixic acid-resistance S.typhi (NARST): Surrogate marker of decreased susceptibility to ciprofloxacin. Rx : Azithromycin , third-generation cephalosporins. Aztreonam and Imipenem are the potential second line drugs.